35  year male patient who is knows case of HIV on Anti - Retroviral Therapy, Complains of fever, Dyspnea, and dry cough and weight loss for past 3 months the chest X-ray of the patient is as below, that's your diagnosis?
1. Staphylococcal pneumonia
2. Pneumocystic pneumonia
3. Viral pneumonia
4. None

Correct answer: 2. Pneumocystic pneumonia

Explanation: Bilateral perihilar infiltrates is typical of pneumocystic pneumonia.